B.C.G., Untrue is
1. live vaccine
2. T.B. vaccine
3. Orally administered
4. All of the above

Correct answer: 3. Orally administered